Cells most sensitive to hypoxia are -
1. Myocardial cells
2. Neurons
3. Hepatocytes
4. Renal tubular epithelial cells

Correct answer: 2. Neurons

Explanation: Ans. is 'b' i.e., Neurons o The susceptibility of a tissue to hypoxia influences the likelihood of infarction.o Neurons are most sensitive to hypoxia (irreversible changes develop in 3-4 minutes) followed by myocardial cells (irrversible changes develop in 20-40 minutesfo Fibroblasts are amongst the most resistent cells to hypoxia.